Intracellular calcification begins in which of the following organelles?
1. Mitochondria
2. Golgi body
3. Lysosomes
4. Nucleus

Correct answer: 1. Mitochondria

Explanation: Calcium may be deposited at sites of cell death, resulting in pathologic calcification. Initiation of intracellular calcification occurs in the mitochondria of dead or dying cells that accumulate calcium.